Which of the following enzymes does the neutrophil use to initiate the production of toxic oxygen compounds that kill bacteria?
1. Hydrogen peroxide
2. Myeloperoxidase
3. NADPH oxidase
4. Superoxide

Correct answer: 3. NADPH oxidase

Explanation: The first step in killing bacteria is the production of superoxide ion, O2- , by the action of NADPH oxidase on NADPH and O2. The superoxide is then converted to hydrogen peroxide, either spontaneously or through the action of superoxide dismutase. The hydrogen peroxide can also be converted to the toxic HOCl. radical by the action of myeloperoxidase. Note: Hydrogen peroxide is not an enzyme. Myeloperoxidase is part of the killing pathway, but is active later in the sequence, when H2O2 is converted in the presence of Cl- to the HOCl. radical. Superoxide is not an enzyme. Ref: Gallin J.I. (2012). Chapter 60. Disorders of Granulocytes and Monocytes. In D.L. Longo, A.S. Fauci, D.L. Kasper, S.L. Hauser, J.L. Jameson, J. Loscalzo (Eds), Harrison's Principles of Internal Medicine, 18e.